In a child on lower lip exophytic growth, finger like projections and hyperkeratosis, same type of growth on dorsal surface of left thumb which is shorter than right thumb is?
1. Squamous cell carcinoma
2. Acantholysis
3. Papilloma
4. Verrucous carcinoma

Correct answer: 3. Papilloma